Acute hepatic and renal failure can be caused by all EXCEPT
1. Shigellosis
2. Leptospirosis
3. Malaria
4. Hantavirus

Correct answer: 1. Shigellosis

Explanation: (Shigellosis)Shigella causes lower G1 bleeding* Hepatorenal syndrome usually affects individuals with cirrhosis and elevated pressures in the portal vein system (termed portal hypertension). While HRS may develop in any type of cirrhosis, it is most common in individuals with alcoholic cirrhosis, particularly if there is concomitant alcoholic hepatitis identifiable on liver biopsies. HRS can also occur in individuals without cirrhosis, but with acute onset of liver failure, termed fulminant hepatic failure.* Certain precipitants of HRS have been identified in vulnerable individuals with cirrhosis or fulminant hepatic failure. These include bacterial infection, acute alcoholic hepatitis, or bleeding in the upper gastrointestinal tract. Spontaneous bacterial peritonitis, which is the infection of ascites fluid, is the most common precipitant of HRS in cirrhotic individuals. HRS can sometimes be triggered by treatments for complications of liver disease: iatrogenic precipitants of HRS include the aggressive use of diuretic medications or the removal of large volumes of ascitic fluid byparacentesis from the abdominal cavity without compensating for fluid losses by intravenous replacement* Hemorrhagic fever with renal syndrome (HFRS) is a group of clinically similar illnesses caused by species of hantaviruses from the family BunyaviridaeSystemic Diseases Involving Both Liver and KidneyDrug toxicity -- acetaminophen, acetylsalicylic acid, carbon tetrachloride, etc.Granulomatous diseases (sarcoidosis, drug-induced)Infectious -- malaria, leptospirosisInfiltrative -- amyloidosisInflammatory -- lupus, Sjogren's syndromeNonalcoholic fatty liver disease and diabetic nephropathyPreeclampsia/HELLP (hemolysis, elevated liver enzymes, low platelets) syndromePolycystic kidney/liver disease (autosomal dominant/autosomal recessive forms)Sickle cell diseaseShock states (congestive heart failure, sepsis, hypovolemia)Renal Disease Associated With Major Types of Liver Disease:Hepatitis BMembranous glomerulonephritis (GN), membranoproliferative GN, IgA nephropathy, focal segmental glomerulosclerosis, minimal change disease, polyarteritis nodosum, essential mixed cryoglobulinemiaHepatitis CMembranoproliferative GN, membranous GN, cryoglobulinemia, fibrillary GN, IgA nephropathy, tubulointerstitial nephritisAlcoholic liver diseaseIgA nephropathyObstructive jaundicePrerenal azotemia/acute tubular necrosis from hypovolemia, decreased cardiac output, sepsis; acute tubular necrosis from toxic bile acidsPrimary biliary cirrhosisMembranous GN, antineutrophil cytoplasmic autoantibody-positive vasculitis, antiglomerular basement membrane disease, renal tubular acidosis, tubulointerstitial nephritisPrimary sclerosing cholangitisMembranous GN, membranoproliferative GN, antineutrophil cytoplasmic autoantibody- positive vasculitis, tubulointerstitial nephritisWilson's diseaseRenal tubular acidosis (Type 1) secondary to copper depositionAlpha-1 antitrypsin deficiencyMembranoproliferative GN, antiglomerular basement membrane diseaseLeptospirosis - Fever, Jaundice, acute renal injury refractory shock and hemorrhage (pulmonary hemorrhage) (1392-HI8th)Jaundice is not associated with fulminant hepatic necrosis or hepatocellular damage but rather than abnormal laboratory values. The liver can be enlarged and tender (1395- HI8th)Other important possibilities include Malaria, rickettsial disease, arboviral infections (eg dengue and chikungunya) typhoid fever, hantavirus infection, (hemorrhagic) fever with renal syndrome or hantavirus cardio pulmonary syndrome / and viral hepatitis (1396- HI8th)Shigellosis (1283-H18th)